The pattern of disease in a community described in terms of the important factors which influences its occurrence is known as
1. Epidemiology
2. Confounding factors
3. Iceberg of disease
4. Community diagnosis

Correct answer: 4. Community diagnosis

Explanation: Community diagnosis generally refers to the identification and quantification of health problems in a community as a whole in terms of mortality and morbidity rates and ratios, and identification of their correlates for the purpose of defining those at risk or those in need of health care. Ref: 25th edition, Park's Textbook of Preventive and Social Medicine, Page no. 56